Maggots are seen on the dead body after :
1. One day
2. 2-3 days
3. 3-4 days
4. One week

Correct answer: 2. 2-3 days

Explanation: B i.e. 2-3 days